The prognosis of rapidly prolifeating glomerulonephritis (Crescentric GN) depends upon
1. Number of crescents
2. Size of crescents
3. Shape of crescents
4. Cellularity of crescents

Correct answer: 1. Number of crescents

Explanation: Answer is A (Number of crescents) The prognosis of crescentric glonzerulonephritis relates to the number of crescents Prognosis can he roughly related to the number of crescents' - Robbins